Chloramphenicol act through action on :
1. 50S ribosome
2. 30S ribosome
3. Nucleus
4. Mitochondria

Correct answer: 1. 50S ribosome